A boy is brought with complaints of abdominal pain since few days. There was an palpable mass in his abdomen. Which is the most common gastrointestinal malignancy of childhood?
1. Adenocarcinoma
2. Lymphoma
3. Carcinoid
4. Sarcoma

Correct answer: 2. Lymphoma

Explanation: Lymphoma is the most common malignant neoplasm of the gastrointestinal tract in childhood. Most lymphomas are the non-Hodgkin subtype, particularly Burkitt lymphoma. Clinical findings include a palpable mass and abdominal pain. The sonographic findings are gastric wall thickening and a bulky polypoid mass with intramural and extramural extension. Additional findings are splenomegaly and mesenteric or retroperitoneal lymph node enlargement. Ref: Pediatric Sonography By Marilyn J. Siegel, 2010, Page 348 ; Pediatric Pathology, 2e By J. Thomas Stocker, Louis P. Dehner, Volume 2, 2001, Page 682 ; Atlas of pediatric gastrointestinal disease: Part 1 - Page 87